Greater petrosal nerve is formed from
1. Geniculate ganglion
2. Plexus around ICA
3. Plexus around middle meningeal artery
4. None of the above

Correct answer: 1. Geniculate ganglion

Explanation: The greater petrosal nerve arises from the geniculate ganglion. It consists of preganglionic parasympathetic fibres that relay in the pterygopalatine ganglion and supply the secretomotor fibres to the lacrimal gland and the mucous glands of nasal cavity and palate.Reference: Textbook of anatomy, Head neck, and brain, Vishram Singh, 2nd edition, page no342